What are the Rushton bodies ?
1. Hyaline bodies of odontogenic cyst
2. Refractile bodies of radicular cyst
3. Bodies seen in ameloblastomes
4. Hyaline bodies seen in dentigerous cysts

Correct answer: 1. Hyaline bodies of odontogenic cyst

Explanation: Rushton Bodies Rushton Bodies or hyaline bodies of odontogenic cysts feature as eosinophilic, straight or curved, irregular or rounded structure within the epithelial lining of odontogenic cyst Rushton bodies occur almost exclusively within odontogenic cyst Ref: Shafers 6th edition Pgno : 268